All are true about the clinical features of hereditary spherocytosis, EXCEPT:
1. Gallstones
2. Severe anemia during childhood
3. Splenomegaly
4. Jaundice

Correct answer: 2. Severe anemia during childhood

Explanation: CLinical features of hereditary spherocytosis: It has a variable presentation, not all patients presents with severe anemia during childhood. Severe case present in infancy with anemia Mild cases present during adult life. The main clinical findings are jaundice, splenomegaly, and gallstones. The anemia is usually normocytic. Increase in mean corpuscular hemoglobin concentration (MCHC)- (The only condition in which an increased MCHC is seen.) The diagnosis is on the basis of red cell morphology and osmotic fragility, a modified version called the pink test. Ref: Harrison, E-18, P-875.